All of the following are used in first trimester MTP except?:
1. Dilatation and evacuation
2. RU486
3. Suction and evacuation
4. Extra aminiotic ethacrydine

Correct answer: 4. Extra aminiotic ethacrydine

Explanation: Extra aminiotic ethacrydine